Woodruffs area is situated in-
1. Posterior end of inferior turbinate
2. Anterior end of middle turbinate
3. Near hiatus semilunatis
4. Below superior turbinate

Correct answer: 1. Posterior end of inferior turbinate

Explanation: Ans. is 'a' i.e., Posterior end of inferior turbinateWoodruffs area: -o It is situated under the posterior end of inferior turbinateo Sphenopalatine artery anastomoses with posterior pharyngeal artery hereo Posterior epistaxis occurs in this area.